The kinetic energy of the body is least in one of the following phases of the walking cycle
1. Heel strike
2. Mid-stance
3. Double support
4. Toe-off

Correct answer: 2. Mid-stance

Explanation: B. i.e. Mid stance phaseSpeed & so the kinetic energy is maximum in double support phase (i.e. heel strike, foot flat, toe flat) & minimum in single support phase (i.e. midstance, mid swing, heel off).